Lead poisoning is characterized by
1. Diarrhea
2. Sensory neuropathy
3. Lead lines on nails
4. Encephalopathy

Correct answer: 4. Encephalopathy

Explanation: Plumbism Features ABCDEFGHI A - Anaemia B - Burtonian line/Basophilic stippling, Bone lines C - Colic, Constipation (dry belly ache) D - Drop (wrist/Foot drop) - Lead palsy E - Encephalopathy F - Facial pallor (earliest sign) G - Gout (saturnine gout) H - Hypertension I - Impotence